Immunoglobulin present in local secretions is ?
1. IgG
2. IgA
3. IgM
4. IgD

Correct answer: 2. IgA

Explanation: Robbins and Cotran pathologic basis of disease South Asia edition. *igA is secreted from mucosal epithelium and neutralises microbes in the lumen of respiratory and gastro intestinal tract.!